In Takayasu arteritis, most common artery involved is -
1. Common carotid artery
2. Subclavian artery
3. Renal artery
4. Inferior mesenteric artery

Correct answer: 2. Subclavian artery

Explanation: . Subclavian artery